Which of the following mode of electrode placement is most commonly employed in ECT?
1. Bifronto occipital
2. Bifronto temporal
3. Bifrontal
4. Right unilateral

Correct answer: 2. Bifronto temporal

Explanation: Bifronto temporal electrode placement is most commonly done in ECT.